Thymomas may be associated with all of the following, Except
1. Myaesthania Gravis
2. Hypergammaglobulinemia
3. Panhypopituitarism
4. SLE

Correct answer: 2. Hypergammaglobulinemia

Explanation: Answer is B (Hypergammaglobulinemia): Thymoms may he associated with Hypogammaglobulinemia and not with Hypergammaglobulinemia. Thymoma is associated with Hypogammaglobulinemia and not with hypergammaglobulinemia Immune status with Thymoma T-cell number & cell medicated immunity are usually intact Q These patients are very deficient in circulating B lymphocytesQ & pre B cell in the bone marrow HypogammaglobulinemiaQ usually occurs relatively late in adult life. Bacterial infection & diarrhea usually reflect this antibody deficiency.Q Frequently have eosinopeniaQ May develop Red cell (Erythroid) Aplasia.Q